A pregnant mother is treated with oral anticoagulant. The likely congenital malformation that may result in the fetus is:
1. Long bones limb defect
2. Cranial malformation
3. Cardiovascular malformation
4. Chondrodysplasia punctata

Correct answer: 4. Chondrodysplasia punctata

Explanation: Ans. is d, i.e. Chondrodysplasia punctateRef. Dutta Obs. 7/e, p 511Warfarin is an anticoagulant drug.Action: Interferes with the synthesis of the vitamin K dependent factors like II, VII, IX and X.Side effects:HemorrhageIt leads to:-Contradi's syndrome: skeletal and facial anomalies in the fetus-Chondrodysplasia punctata in the fetus.Miscarriage, IUGR and stillbirths accentuates neonatal hypothrombinemia.